Vocal cord is lined by........ epithelium
1. Cuboid
2. Stratified squamous
3. Pseudo ciliated columnar
4. Stratified columnar

Correct answer: 2. Stratified squamous

Explanation: Epithelium of the mucus membrane of larynx is ciliated columnar epithelium except over the vocal cords and upper part of the vestibule where it is of stratified squamous type.